The oxidation of retinol produces:-
1. Retinine
2. Beta-carotene
3. Retinal
4. Retinoic acid

Correct answer: 3. Retinal

Explanation: Retinal (vitamin A aldehyde): 
This is an aldehyde form obtained by the oxidation of retinol. 
Retinal and retinol are interconvertible.
Key Concept:
Oxidation of retinol produces retinal
Oxidation of retinal produces retinoic acid.
Ref : Textbook of Biochemistry, Satyanarayana